Fracture of body of mandible with full arch of teeth (undisplaced) is treated by:
1. IMF
2. Open reduction and internal fixation
3. Close reduction and internal fixation
4. External pin fixation

Correct answer: 1. IMF